Phospo-dephosphorylation of phosphorus to kinase and fructose 1, 6 Biphosphatase by fructose 2, 6 Biphosphate regulation is seen in
1. Brain
2. Liver
3. Adrenal Cortex
4. RBC

Correct answer: 2. Liver

Explanation: Question repeated